Aqueous flare seen in anterior chamber is due to:
1. Leakage of protein particles into the aqueous humour following breakdown of blood aqueous barrier
2. Leakage of leukocytes into anterior chamber
3. Both of the above
4. None of the above

Correct answer: 1. Leakage of protein particles into the aqueous humour following breakdown of blood aqueous barrier

Explanation: Ans. Leakage of protein particles into the aqueous humour following breakdown of blood aqueous barrier